Recommended interventions to reduce the incidence of Coronary artery disease include the following except:
1. Dietary cholesterol < 100 mg/1000kcal/d
2. Salt intake < 5 gm
3. No alcohol
4. Fat intake < 10% of total energy.

Correct answer: 4. Fat intake < 10% of total energy.

Explanation: Fat intake < 10 % of total energy. ,Dietary changes as per WHO expert committee are * Reduction of fat intake to 20-30 % of total energy intake * Consumption of saturated fats must be limited to < 10 % of total energy intake * Reduction of dietary cholesterol to below lOOmg/lOOO kcal /day * Increase in complex carbohydrates consumption * A voidance of alcohol consumption * Reduction of salt intake to 5 gm daily or less